IVC filter is used in following except -
1. Massive emboli
2. Negligible size of emboli
3. Repeated emboli
4. None

Correct answer: 2. Negligible size of emboli